What is the most common reason that psychotherapy for personality disorders is so difficult to carry out successfully?
1. The traits are often ego-dystonic
2. The patients are usually too sick to use psychotherapy
3. These disorders respond better to medication than to psychotherapy
4. The patients often see the source of their problems in others, not themselves.

Correct answer: 4. The patients often see the source of their problems in others, not themselves.

Explanation: Personality disorders are ego syntonic so the patients are usually unaware of their maladaptive traits and would in fact deny having problems and blame others.